Transformation of one epithelium to other epithelium is known as
1. Dysplasia
2. Hyperplasia
3. Neoplasia
4. Metaplasia

Correct answer: 4. Metaplasia

Explanation: Ref: Robbins 8/e p10,11;9/e p37